All the following drugs undergo metabolism by acetylation EXCEPT
1. INH
2. Hydralazine
3. Procainamide
4. phenytoin

Correct answer: 4. phenytoin

Explanation: Ans) d) (Phenytoin) Ref: KDT 6th ed pg25Compounds having amino or hydrazine residue are conjugated wiyh the help of acetyl Co enzyme - A which include drugs like sulphonamides, INH, PAS, hydralazine, clonazepam, procainamide Phenytoin is metabolised in liver by hydroxylation and glucoronide conjugation.